Function of superior oblique muscle is :
1. Elevation with eye rotated outwards
2. Elevation with eye rotated downwards
3. Depression with inward rotation
4. Depression with outward rotation

Correct answer: 3. Depression with inward rotation

Explanation: C i.e. Depression with internal rotation